The most serious complication of clomiphene therapy for induction of ovulation is :
1. Bone marrow depression
2. Hyperstimulation syndrome
3. Secondary amenorrhea
4. Multiple pregnancy

Correct answer: 2. Hyperstimulation syndrome

Explanation: Ovarian hyperstimulation syndrome is the most dreaded complication of Clomiphene (discussed in detail in chapter 9 on infertility).